Prions disease all are true except aEUR'
1. They are caused by infectious proteins
2. Biopsy of brain diagnostic
3. Neurodegenrative desease
4. Myoclonus found only in 10% cases

Correct answer: 4. Myoclonus found only in 10% cases

Explanation: Myoclonus found only in 10% cases Prions are infectious proteins that cause degeneration of the central nervous system They are infectious particles that lack nucleic acid Prions are composed largely, if not entirely of PrP molecules